Movements of supination & pronation take place at all of the following, EXCEPT?
1. Superior radioulnar joint
2. Middle radioulnar joint
3. Inferior radioulnar joint
4. Radio-carpal joint

Correct answer: 4. Radio-carpal joint

Explanation: Radio-carpal joint: Articulation between the radius and the radioulnar disc (triangular fibrocartilage complex) with the proximal row of carpal bones (scaphoid, lunate, and triquetrum). Motions present at radio carpal joint include flexion, extension, abduction and adduction. Movement of supination and pronation does not take place in this joint.